Oxygen dissociation cure is shifted to left by all except -
1. Increased pH
2. Decrease PCO2
3. Decreased 2,3 DPG
4. Decreased pH

Correct answer: 4. Decreased pH

Explanation: Ans. is 'd' i.e., Decreased pH